Which of the following decreases effectiveness of insulin -
1. Thiazide
2. Atropine
3. b-blockers
4. Acute alcohol ingestion

Correct answer: 1. Thiazide

Explanation: Ans. is 'a' i.e., Thiazide o Thiazide, furosamide, corticosteroids, oral contraceptives, salbutamol, nifedipine tend to raise blood sugar and reduce effectiveness of insulin.